Step of Gluconeogenesis is:
1. Fructose-6-phosphate to glucose-6-Phosphate
2. Pyruvate to Lactate
3. Oxaloacetate to pyruvate
4. Pyruvate to Acetyl CoA

Correct answer: 1. Fructose-6-phosphate to glucose-6-Phosphate

Explanation: Glucose-6-phosphate to Fructose-6-phosphate occurs in Glycolysis But opposite of this i.e. Fructose 6 phosphate to Glucose 6 phosphate occurs in Gluconeogenesis.